Uterine contractions are clinically palpabel when there intensity is more than
1. 10 mm Hg
2. 15 mm Hg
3. 20 mm Hg
4. 40 mm Hg

Correct answer: 1. 10 mm Hg

Explanation: Uterine contractions: Palpable when intensity exceeds 10 mm Hg Painful when exceeds 15 mm Hg